Cigar shaped yeast cells are seen with
1. C. albicans
2. S. schenkii
3. H. capsulatum
4. C. neoformans

Correct answer: 2. S. schenkii

Explanation: - Cigar shaped yeast cells are seen in sporothrix schenkii on H and E staining of tissue sections at 37 degree C - it is yeast at 25 degree C - it is mould - Flower like sporulation appearance is seen in mould form of the sporothrix. H. capsulatum - histopath. show tiny oval yeast cell with narrow based budding C. neoformans - on microscopy gram staining, budding yeast is seen C. albicans - gram positive oval budding yeast cell with pseudohyphae